Granulomatous condition causing hypercalcemia include all of the following, except:
1. TB
2. Sarciodosis
3. Berylliosis
4. SLE

Correct answer: 4. SLE

Explanation: Answer is D (SLE): SLE is not classified as a granulomatous disease and is a rare cause of Hypercalcemia (Disseminated SLE). Sarcoidosis, Tuberculosis (TB) and Berylliosis are typical Granulomatous disorders causing hypercalcemia. Granulomatous causes of Hypercalcemia Infective Causes Tuberculosis Berylliosis Histoplasmosis Coccidoimycosis Pneumocystis Granulomatous Leprosy Cat-Scratch Disease Non-Infective Cause Sarcoidosis (Most common) Wegner's Granulomatosis Inflammatory Bowel Disease Histiocytosis-X Foreign body Granulomas Almost every single disease associated with Granuloma formation has been reported to cause Hypercalcemia